A PTT is required for monitoring of -
1. Streptokinase
2. Warfarin
3. Heparin
4. Tranexamicacid

Correct answer: 3. Heparin

Explanation: Ans. is 'c' i.e., Heparin o Monitoring of unfractionated heparin - aPTTo Monitoring of oral anticoagulants - PT/INRo Monitoring of LMW heparins - No monitoring required